Cranial part of Accessory nerve supplies all palatal muscles EXCEPT:
1. Palatoglossus
2. Palatopharyngeus
3. Tensor veli palati
4. Levator palati

Correct answer: 3. Tensor veli palati

Explanation: Most of the muscle of palate are supplied by Cranial Accessory nerve ( vagus accessory complex) except few. Tensor veli palati develops in first pharyngeal arch and supplied by Mandibular branch of Trigeminal nerve.